Laboratory studies in the outpatient clinic on a 24-year-old female included assessment of circulating blood chemistry. Which of the following arteries is most likely at-risk during venipuncture at the cubital fossa?
1. Brachial
2. Common interosseous
3. Ulnar
4. Anterior interosseous

Correct answer: 1. Brachial

Explanation: The three chief contents of the cubital fossa are the biceps brachii tendon, brachial artery, and median nerve (lateral to medial). The common and anterior interosseous arteries arise distal to the cubital fossa; the ulnar and radial arteries are the result of the bifurcation of the brachial artery distal to the cubital fossa.